Which of the following cavities are separated from the middle cranial fossa by a thin layer of bone?
1. Auditory tube and bony orbit
2. Middle ear cavity and sphenoid sinus
3. Sigmoid sinus and frontal sinus
4. Sphenoid sinus and ethmoid sinus

Correct answer: 2. Middle ear cavity and sphenoid sinus

Explanation: The middle ear cavity is separated from the middle cranial fossa by the tegmen tympani, a thin plate of the petrous part of the temporal bone. A part of the roof of the sphenoid bone forms the floor of the hypophyseal fossa. The other pairs of sinuses or bony cavities are not separated from the middle cranial cavity.